Hartnup disease is mainly due to:
1. Niacin deficiency
2. Defective transport of tryptophan
3. Defective serotonin biosynthesis
4. Thiamine deficiency

Correct answer: 2. Defective transport of tryptophan

Explanation: Hartnup's disease is an autosomal recessive disorder, in which there is: * Defect in neutral amino acid transporter (tryptophan) * Failure to absorb tryptophan from intestine and also reabsorb it from kidneys =Clinical feature: Aminoaciduria i.e. tryptophan in urine Pellagra (niacin deficiency ) like symptoms (neurological and dermatologic), despite an adequate intake of both tryptophan and niacin. NORMAL AND ABNORMAL ROUTES OF TRYPTOPHAN METABOLISM